Waldeyer's ring consists of all of the following except ?
1. Palatine tonsils
2. Pharyngeal tonsils
3. Tubal tonsils
4. Post auricular nodes

Correct answer: 4. Post auricular nodes

Explanation: Ans. is 'd' i.e., Posterior auricular nodes o In relation to the oropharyngeal isthmus, there are several aggregations of lymphoid tissue that constitute the WALDEYER'S lymphatic ring.o The most important aggregations are the right and left palatine tonsils,o Posteriorly and above is the pharyngeal tonsil,o Laterally and above are the tubal tonsilso Inferiorly there is the lingual tonsil over the posterior part of the dorsum of the tongue.